Mean bone density amongst two groups of 50 people each is compared with each other. The test of significance used would be -
1. Paired-t-test
2. Student t-test
3. Analysis of variance
4. Chi-Square test

Correct answer: 2. Student t-test